Most emetogenic anticancer drug is:
1. Cisplatin
2. Carboplatin
3. High dose cyclophosphamide
4. High dose methotrexate

Correct answer: 1. Cisplatin

Explanation: Cisplatin: It is a platinum coordination complex that is hydrolysed intracellularly to produce a highly reactive moiety which causes cross linking of DNA. The favoured siteis N7 ofguanine residue. It can also react with -SH groups in proteins and has radiomimetic property. It is bound to plasma proteins, enters tissues and is slowly excreted unchanged in urine with a plasma half life of about 72 hrs. Negligible amounts enter brain. Cisplatin is very effective in metastatic testicular and ovarian carcinoma. It has found use in many other solid tumours as well. Cisplatin is a highly emetic drug. Antiemetics are routinely administered before infusing it. The most important toxicity is renal impairment which is dependent on total dose administered. Renal toxicity can be reduced by maintaining good hydration. Tinnitus, deafness, neuropathy and hyperuricaemia are other problems. Shock like state sometimes occurs during i.v. infusion. ESSENTIALS OF MEDICAL PHARMACOLOGY K.D.TRIPATHI SIXTH EDITION PAGE NO:827,828